H2 blocker used as anti-ulcer drug:
1. Pirenzepine
2. Famotidine
3. Rabeprazole
4. Sucralfate

Correct answer: 2. Famotidine

Explanation: Ans: b (Famotidine) Ref: KDT, 6th ed,p. 629DRUGS USED IN PEPTIC ULCER1) H2 antagonists - Ranitidine, cimetidine. famotidine roxatidine and nizatidine.Nizatidine has little first-pass metabolism and a bioavailability of almost 100%. Famotidine is the most potent among them.2) Proton pump inhibitors (PPIs) - Omeprazole, lansoprazole, rabeprazole, pantoprazole, and esomeprazole.They are the most effective drugs in GERD.3) Mucosal protective agents - Sucralfate, colloidal bismuth compounds4) Prostaglandin analogs - Misoprostol5) Antacids6) Anticholinergics - Pirenzipine, propantheline7) Anti-H.pylori drugs - Amoxicillin, clarithromycin, metronidazole, tinidazole, tetracycline.